Testicular artery usually arises from
1. Abdominal aorta below renal artery
2. Renal artery
3. Internal iliac artery
4. Ext iliac artery

Correct answer: 1. Abdominal aorta below renal artery

Explanation: Ans) a (Abdominal aorta ....) Ref Chaurasia vol 2 pg 186Testicular artery is a branch of abdominal aorta given off at the level of vertebrae L2.Venous drainageVeins emerging from the testis forms pampiniform plexus. Plexus condenses into 4 veins at the superficial inguinal ring & into 2 veins at the deep inguinal ring.Ultimately one vein is formed which drains into IVC (on right side) or left renal vein (on left side).